The injured nerve regenerates at the rate of
1. 0.1 cm/day
2. 1cm/day
3. 0.1mm/day
4. 1mm/hour

Correct answer: 1. 0.1 cm/day